Secondary tympanic membrane is present over
1. Round Window
2. Oval window
3. Lateral wall of middle ear
4. Scala media

Correct answer: 1. Round Window

Explanation: The scala tympani is closed by secondary tympanic membrane; it is also connected with the subarachnoid space through the aqueduct of cochlea. Ref: Dhingra 6th edition pg- 9